All are true about Desvenlafaxine except
1. It is a D2 receptor antagonist
2. Can cause priapism
3. Can cause glaucoma
4. Can cause hyperlipidemia

Correct answer: 1. It is a D2 receptor antagonist

Explanation: Desvenlafaxine is an antidepressant of the serotonin-norepinephrine reuptake inhibitor class from Wyeth.